During surgery for meningioma, the left paracentral lobule was injured. It would lead to paresis of:
1. Right leg and perineum
2. Left face
3. Right face
4. Right shoulder & trunk

Correct answer: 1. Right leg and perineum

Explanation: The paracentral lobule is on the medial surface of the hemisphere and is the continuation of the precentral and postcentral gyri. The leg and the foot areas are found on the medial surface of the hemisphere in the posterior part of the paracentral lobule. The anal and genital regions are also found in this area.Ref: Clinical neuroanatomy By Richard S Snell, 2010, Page 292.